In development of language, a child is able to tell stories by?
1. 1 year
2. 2 years
3. 3 years
4. 4 years

Correct answer: 4. 4 years

Explanation: Telling a story/poem or singing a song comes at 4 years age. Important language milestones:- 3 months Cooing 6 months Speaks monosyllables 9 months Speaks bi-syllables, Babbling 15 months Jargon speech 18 months Knows 10 words with meaning 2 years Speaks short sentences vocabulary of 50-100 words 4 years Tells story/poem/sing a song 5 years Repeats 4 digits Names 4 colours